Which of the following is an absolute contraindication for the use of lithium?
1. Renal failure
2. Glaucoma
3. Epilepsy
4. Angina

Correct answer: 1. Renal failure

Explanation: Lithium is contraindicated in patients with Hypersensitivity to lithium Brugada syndrome Creatinine clearance less than 30